Mucin CLOT test is done to detect:
1. Mucin in stool
2. Protein in CSF
3. Hyaluronate in synovial fluid
4. Protein in pleural fluid

Correct answer: 3. Hyaluronate in synovial fluid

Explanation: Hyaluronate in synovial fluid